Precocious puberty and patchy skin pigmentation is known to occur in:
1. McCune Albright syndrome
2. Litter Siwe disease
3. Asherman's syndrome
4. Morquio's syndrome

Correct answer: 1. McCune Albright syndrome

Explanation: Ans. A. McCune Albright SyndromeMcCune-Albright Syndrome is characterized by Precocious Puberty with Polyostotic Fibrous Dysplasia and Abnormal Pigmentation. This syndrome of endocrine dysfunction is associated with patchy cutaneous pigmentation and fibrous dysplasia of the skeletal system. A classical cause of peripheral precocious puberty, it can also induce pituitary, thyroid, and adrenal aberrations.